A 25 year old male complains of paroxysm of unilateral head ache, associated with nasal discharge and tearing of eyes on the side of head ache, precipitated by bouts of alcohol, most likely diagnosis is-
1. Cluster headache
2. Migraine
3. Sinusitis
4. Tension headache

Correct answer: 1. Cluster headache

Explanation: Typical cluster headache has daily bouts of one to two attacks of short duration unilateral pain . *Associate with ipsilateral conjunctivallacrimation andcongestion,rhinorrhea,nasal congestion ,cranial sympathetic dysfunction like ptosis. Ref Harrison20th edition pg 2345